Hyperkalemia without ECG changes may be treated with all except -
1. Calcium gluconate
2. Salbutamol
3. Na bicarbonate
4. Insulin with dextrose

Correct answer: 1. Calcium gluconate

Explanation: calcium gluconate immediately antagonises the cardiac effects of hyperkalemia, whereas the others are used to correct hyperkalemia. (reference : harrisons principles of internal medicine,19E page- 312)